Potassium iodide is useful in the treatment of :
1. Sporotrichosis
2. Impetigo
3. Viral warts
4. Dermatitis herpetiformis

Correct answer: 1. Sporotrichosis

Explanation: Treatment of sporotrichosis is saturated solution of potassium iodide. Itraconazole is an alternative.